In an adult, % of total body surface required to be involved in a burn injury to cause shock
1. 15
2. 20
3. 25
4. 30

Correct answer: 1. 15

Explanation: As the size approaches 10-15% of total body surface area (TBSA), the loss of intravascular fluid can cause a level of circulatory shock. Furthermore, once the area increases to 25% of TBSA, the inflammatory reaction causes fluid loss in vessels remote from the burn injury.Ref: Bailey and love 27e pg: 619